Quadrilateral cartilage is attached to all except
1. Ethmoid
2. Vomer
3. Sphenoid
4. Maxilla

Correct answer: 3. Sphenoid

Explanation: Ans. C Sphenoid Quadrilateral cartilage forms the nasal septum. It is bounded firmly by collagenous fibers to the Nasal bones Ethmoid Vomer Maxilla